Which of the following is not a culture bound syndrome
1. Amok
2. Latah
3. Dhat
4. Von-Gogh

Correct answer: 4. Von-Gogh

Explanation: Ans is 'd' i.e. Von-Gogh * Dramatic self mutilation occurring in schizophrenia has also been called Von-Gogh syndrome.Culture-bound syndrome (folk illness)* It is a combination of psychiatric and somatic symptoms that are considered to be a recognizable disease only within a specific society or culture. There is no objective biochemical or structural alterations of body organs or functions, and the disease is not recognized in other cultures.Important culture-bound syndromesNameGeographical localization* Ataque de nervios* Hispanic people as well as in the Philippines* Dhat syndrome* India, Taiwan* Khyal cap* Combodia* Ghost sickness* Native Americans* Kufungisisa* Zimbabwe* Maladi moun* Haiti* Nervios* Latin America* Shenjing shuairuo* Chinese* Susto* Central America and South America* Taijin kyofusho* Japan* Amok* Indonesia; Malaysia* Koro* South-east Asia, India, China* Latah* Indonesia; Malaysia* Windigo* Indigenous people of north-east America